For remodelling of the palatal vault as it is being translated, the bone is removed
1. Small area around the central incisors
2. From the roof of the nose and added to the floor of the mouth
3. From the posterior surface
4. From the floor of the nose and added to the roof of the mouth

Correct answer: 4. From the floor of the nose and added to the roof of the mouth